A 48-year-old man with mitral regurgitation (MR) comes to the physician for a routine examination. The best position to auscultate for MR is usually at the apex. 

Which of the following options most accurately corresponds to the location to auscultate?
1. Left 2nd intercostal space
2. Left 4th intercostal space
3. Left 5th intercostal space
4. Right 2nd intercostal space

Correct answer: 3. Left 5th intercostal space